LJ media is used for -
1. Bacillus antracis
2. M. tuberculosis
3. Leptospira
4. Legionella

Correct answer: 2. M. tuberculosis

Explanation: Ans. is 'b' i.e., M tuberculosis o The solid medium most widely employed for routine culture of tubercular is Lowenstein - Jensen Medium (L.J. medium).